Following have no lymphatics except
1. Brain
2. Internal Ear
3. Dermis
4. Eye

Correct answer: 3. Dermis